All drugs are used in Treatment of Mania except -
1. Haloperidol
2. Trihexylphenidyl
3. Lithium
4. Carbamazepine

Correct answer: 2. Trihexylphenidyl

Explanation: Drugs used for mania are Lithium, Valproate, Carbamazepine / Oxcarbazepine, Typical & atypical antipsychotics (olanzapine, risperidone, quetiapine, ziprasidone, aripiprazole, haloperidol), benzodiazepines.
Trihexylphenidyl is a central anticholinergic drug used in Drug induced Parkinsonism.